Hyperkalemia is a feature of
1. Conns syndrome
2. Gitelman's syndrome
3. Pseudohypoaldosteronism type 2
4. Liddle syndrome

Correct answer: 3. Pseudohypoaldosteronism type 2

Explanation: Answer- C. Pseudohypoaldosteronism type 2Pseudohypoaldosteronism tnre 2 is associated with hyperkalemia.Conns syndrome, Gitelman's syndrome and Liddle syndrome are associated with hypokalemia.